Gleasons Scoring is done for which of the following malignancy?
1. Prostate cancer
2. Lung cancer
3. Bladder cancer
4. Hodgkin's lymphoma

Correct answer: 1. Prostate cancer

Explanation: Gleason scoring system is used in prostate cancer to measure the extent of histological aggressiveness. This system relies upon the low-power appearance of the glandular architecture under the microscope. While assigning a grade to a given tumor, pathologists assign a primary grade to the pattern of cancer that is most commonly observed and a secondary grade to the second most commonly observed pattern in the specimen. Grades range usually from 1 to 5. If the entire specimen has only one pattern present, then both the primary and secondary grade are reported as same grade. The Gleason score or Gleason sum is obtained by adding the primary and secondary grades together. Gleason grades range from 1 to 5, and Gleason scores or sums range from 2 to 10. Ref: Smith's General Urology, 17e, chapter 22